Mites are the vectors of the following disease except:
1. Scabies
2. Scrub typhus
3. Rickettsial pox
4. Kyasanur forest disease

Correct answer: 4. Kyasanur forest disease

Explanation: - Vector is an arthropod or invertebrate which can transmits an infection. - Mites are the vectors of: Scabies Scrub typhus Rickettsial pox Rickettsial Diseases Disease Cause Vector Reservoir Epidemic typhus R. Prowazeki Louse Man Endemic typhus R. Typhi flea Rodents Indian tick typhus R. conori Tick Rodents RMSF R. rickettssi Tick Rodents Q fever Coxiella - Cattle Trench fever Bartonella louse man KFD is transmitted by Hard ticks (Hemophysalis)